To look right & left which type of joint is involved
1. Ellipsoid joint
2. Pivot joint
3. Saddle joint
4. Hinge joint

Correct answer: 2. Pivot joint

Explanation: Ans: B. Pivot jointRight to left movement occurs at atlanto-axial joint which is a pivot joint.